Osteopetrosis is also known as:
1. Albers Schonberg disease
2. Marble bone disease
3. Fragilis generalisata
4. All of the above

Correct answer: 4. All of the above

Explanation: Osteopetrosis aka Marble bone disease, Albers-Schönberg disease, osteosclerosis fragilis generalisata.
Ref: Shafer's textbook of oral pathology 7th edition page 704